The gene responsible for coding plasma cholinesterase is located at-
1. Chromosome 3 at q 26
2. Chromosome 3 at q 27
3. Chromosome 4 at q 26
4. Chromosome 4 at q 27

Correct answer: 1. Chromosome 3 at q 26

Explanation: plasma cholinesterase or butyryl cholinesterase activity affected when atypical butyryl cholinesterase is seen in wrong coding of this enzyme. it is genetic cause of suxamethonium apnea, Reduced butyryl cholinesterase activity is seen in Liver disease Pregnancy Malnutrition Old age Drugs like - oral contraceptives, monoamine oxidase inhibitors, echothiophate, cytotoxic drugs, neoplastic disease, anticholinesterase drugs and metoclopramide. Butyrylcholinesterase is the enzyme which degrades succinyl choline. It is synthesized in the liver and found in the plasma. Decreased butyrylcholinesterase is not a major concern in clinical practice because even in a large decrease in the enzyme activity will produce an only slight increase in duration of neuromuscular blockade.